Which of the following statement is false regarding Leflunomide:
1. Used in treatment of Rheumatoid arthriti
2. Act by inhibiting IMP dehydrogenase enzyme
3. Inhibits proliferation of T and B cells
4. It is contraindicated in pregnancy

Correct answer: 2. Act by inhibiting IMP dehydrogenase enzyme

Explanation: Leflunomide is a prodrug of an inhibitor of pyrimidine synthesis by inhibiting enzyme dihydro orotate dehydrogenase thereby inhibiting proliferation of T and B cell. Toxicities include elevation of liver enzymes with some risk of liver damage, renal impairment, and teratogenic effects. It is approved only for rheumatoid arthritis at present, although studies are underway combining leflunomide with mycophenolate mofetil for a variety of autoimmune and inflammatory skin disorders, as well as preservation of allografts in solid organ transplantation. Mycophenolate mofetil: Act by inhibiting IMP dehydrogenase enzyme ,suppresses both B and T-lymphocyte.